Not a part of bony labyrinth
1. Cochlea
2. Vestibule
3. Utricle
4. Semicircular canal

Correct answer: 3. Utricle

Explanation: BONY LABYRINTH:The bony labyrinth consists of three parts(a)Cochlea anteriorly (b)Vestibule,in the middle (c)Semicircular canals posteriorly REF.,BDC VOL.3